Multinucleate giant cells are seen in Tzank smear in ?
1. Herpesgenitalis
2. Bullous pemphigoid
3. Toxic epidermal necolysis
4. Pemphigus

Correct answer: 1. Herpesgenitalis

Explanation: Ans. is 'a' i.e., Herpes genitalis